In a child with excercise induced asthma, which is done -
1. Prophylaxis with steroids
2. Prophylaxis with Beta, agonist
3. Prophylaxis with theophyline
4. Breathing excercise

Correct answer: 2. Prophylaxis with Beta, agonist

Explanation: Ans. is 'b' i.e., Prophylaxis with beta agonist Treatment of exercise induced asthma o Exercise-induced bronchospasm should be anticipated in all asthma patients. o Treatment immediately prior to vigorous activity or exercise is usually effective. o Treatment is ? i) Short acting inhaled beta agonist plus cromolyn. or ii)Short acting inhaled beta-agonist plus nedocromil.